Lymphatic drainage of the breast is not to:
1. Internal mammary nodes
2. Supraclavicular nodes
3. Axillary nodes
4. Inguinal nodes

Correct answer: 4. Inguinal nodes

Explanation: Ans: d (Inguinal) Ref: BDC, 4th ed, Vol I, p. 42Don't get confused... the original question was really like this!! And whatever be the anatomical site of the organ concerned, lymphatics follow the basic rulesBreast lymphaticsSuperficial - skin over breast, except nipple and areolaDeep - Breast parenchyma, nipple and areola75% -Axillary: mainly into the anterior nodes20% - Internal mammary5% - Posterior intercostals nodes# Anterior# Posterior--CentralApical--Apical--SupraclavicularSubareolar plexus of sappy drains into the anterior group (pectoral)Lymphatics from the lower inner quadrant may communicate with the sub-diaphragmatic and sub- peritoneal nodes.